Which is the most common lymphoma in adults?
1. Adult T-cell leukemia/lymphoma (ATLL)
2. Hodgkin lymphoma
3. Diffuse large B-cell lymphoma (DLBCL)
4. Follicular lymphoma

Correct answer: 3. Diffuse large B-cell lymphoma (DLBCL)

Explanation: DLBCL - Most common lymphoma in adults Follicular lymphoma - Most common indolent lymphoma in adults Chronic lymphocytic leukemia - Most common leukemia in adults